Which of the following is an active metabolite of another drug and is available as a separate drug for the treatment of angina?
1. Isosorbide mononitrate
2. Isosorbide dinitrate
3. Nitroglycerine
4. Propanolol

Correct answer: 1. Isosorbide mononitrate

Explanation: Isosorbide mononitrate (IMN) is a metabolite of isosorbide dinitrate (IDN) and is also available as a separate drug. IMN undergoes min. first pass metabolism. Nitroglycerine: High first pass metabolism.